Magistrate inquest not needed in:
1. Homicide
2. Exhumation
3. Police custody death
4. Dowry death

Correct answer: 1. Homicide

Explanation: Magistrate inquest : 2 types Judicial magistrate ( By High Court): Lock up death Encounter death Death in psychiatric hospital Death in prison Executive magistrate ( By Govt.): Dowry death Exhumation